Which of the following are featrues of pulmonary embolism -a) Respiratory alkalosisb) Right axis deviationc) Normal A-a Gradientd) Ventricular strain
1. acd
2. bcd
3. abd
4. ab

Correct answer: 3. abd